Which of the following is stored in freezer?
1. DT
2. IT
3. DPT
4. Measles

Correct answer: 4. Measles

Explanation: Ans: d (Measles) Ref: Park, 19th ed, p. 95The two vaccines which must be stored in the freezer compartment are:* Polio* Measles.Vaccines which must be stored in the cold part but never allowed to freeze are:* DPT* TT* DT* BCG* Diluents.Nothing is kept in the door!All vaccines with the letter T are kept in the cold part and not in the freezer. Remember that BCG is Bacille CalmetteGuerin.Cold chain:The "cold chain" is a system of storage and transport of vaccines at low temperature from the manufacturer to the actual vaccination site, at 4-8degC.Among the vaccines polio is most heat sensitive, requiring storage at minus 20degC.The cold chain equipment consists of the following.a) Walk in cold room (WIC) - located at regional level, meant to store vaccines up to 3 months and serve 4-5 districts.b) Deep freezers and ice lined refrigerators (ILR) - supplied to all districts and the WIC locations to store vaccines. Deep freezers are used for making ice packs and to store polio and measles vaccines.c) Small deep freezers and Ice lined refrigerators (ILR) - one set is provided to PHCs, urban family planning centres, and post partum centres.d) Cold boxes - supplied to all peripheral centres, mainly for the transportation of vaccines.e) Vaccine carriers - used to carry small quantities of vaccine (16-20) vials to out of reach sessions.f) Day carrier - used to carry small quantities of vaccine (6-8) vials to nearby sessions.